Reid's index is -
1. Increase in chronic bronchitis
2. Decrease in chronic bronchitis
3. Increase in bronchial asthma
4. Decrease in bronchial asthma

Correct answer: 1. Increase in chronic bronchitis